Karyotyping is useful in diagnosis of -
1. Autosomal recessive disorders
2. X-linked recessive disorders
3. Chromosomal abnormalities
4. Biochemical abnormalities

Correct answer: 3. Chromosomal abnormalities

Explanation: Ans. is 'c' i.e., Chromosomal abnormalitieso Karyotyping is the study of chromosomes and is used in cytogenetics to study the chromosomal abnormalities. o After arresting the cells in metaphase the chromosomes are examined to see for:(i) Numbers --> to detect abnormalities in chromosome numbers such as aneuploidy (trisomy, tetrasomy), polyploidy.(ii) Structure ---> to detect structural chromosomal anomalies such as translocations, deletions, inversions.